According to RNTCP, tubercular pericarditis should be treated with which category of anti-tubercular regimen?
1. Category III
2. Category I
3. Category II
4. Category IV

Correct answer: 2. Category I